The axial length of the eyeball at birth is ---% of adult eye
1. 100
2. 90
3. 70
4. 40

Correct answer: 3. 70

Explanation: The axial length of the eyeball at birth 70% of an adult eye. Anteroposterior diameter is 24 mm in adult & Anteroposterior diameter of the eyeball is about 16.5 mm at birth (70% of the adult size which is attained by 7-8 years). Reference : A K KHURANA OPHTHALMOLOGY, Edition4, Page-11